Not true about methyl alcohol poisoning:
1. Effects are due to formic acid
2. Fomepizole competitively inhibits aldehyde dehydrogenase
3. Metabolic acidosis
4. Blindness

Correct answer: 2. Fomepizole competitively inhibits aldehyde dehydrogenase

Explanation: Ans. Fomepizole competitively inhibits aldehyde dehydrogenase